All are true about Meckel's Diverticula except
1. It is congenital
2. It is a true Diverticula
3. It develops from the Omphalomesentric duct
4. Incidentally detected Meckel's Diverticula should always be treated conservatively

Correct answer: 4. Incidentally detected Meckel's Diverticula should always be treated conservatively

Explanation: Conservative management is not the only treatment for incidentally detected Meckel's Diverticula. When found in the course of abdominal surgery. A Meckel's Diverticula can safely be left alone provided it has a wide mouth and is not thickened. When there is doubt it can be resected Ref: Bailey and love 27th edition Pg no : 1252